A child presented with fever for 2 days, altered sensorium and purpuric rashes. His blood pressure is 90/60 mmHg. Treatment of choice is -
1. IV Quinine
2. IV Artesunate
3. IV Penicillin
4. Chloroquine

Correct answer: 3. IV Penicillin

Explanation: Ans. is 'c' i.e., Penicillin o The clinical presentation of fever, altered sensorium and purpuric rashes, is highly suggestive of meningiococcal meningitis. o Purpuric rash in quite characteristic of meningococcemia. o I.V. Penicillin is the treatment of choice for meningioccal inf. among the given options. o The DOC for meningiococcal infection is o 111rd generation cephalosporin e.g. Cefotoxime, Ceftriaxone.